A patient comes to the emergency department with vomiting, diarrhea, lacrimation abdominal cramps, piloerection. The family members gave history of substance use for the past 1 month. The clinical presentation is due to
1. opiod intoxication
2. opiod withdrawl
3. cocaine intoxication
4. cocaine withdrawl

Correct answer: 2. opiod withdrawl

Explanation: In opioid withdrawal ALL ORIFICES BLEED Lacrimation, vomiting, rhinorrhea, diarrhea, mydriasis, kicking the habit, muscle cramps, abdominal cramps, tachycardia, cold turkey Ref.Kaplon and Sadock, synopsis of psychiatry, 11 th edition, pg no.660